The organism most commonly causing genital filariasis in most part of Bihar and easteran U.P is -
1. Wuchereria bancrofti
2. Brugia malayi
3. Onchocerca volvulus
4. Dirofilaria

Correct answer: 1. Wuchereria bancrofti

Explanation: repeated leakage of lymph into tissues first leads to lymphoedema and then to elephantiasis of one or more limbs,breast,penis,scrotum or vulva The development of lymph scrotum results in chyluria,hydrocoele,orchitis,funiculitis (Refer pgno:168 baveja 3 rd edition)